Progressive multifocal leukoencephaloPathy is caused-
1. Epstein-barr virus
2. Varicella-zoster virus
3. Cytomegalo Virus
4. JC Papovavirus

Correct answer: 4. JC Papovavirus

Explanation: Harrison's principles of internal medicine. *In PML oligodendrocytes have enlarged densely staining nuclei that contain viral inclusions formed by crystallinearrays of JC virus particles.